Garland sign on CXR in sarcoidosis involves all except?
1. Right paratracheal nodes
2. Right hilar nodes
3. Left hilar nodes
4. Left pretracheal lymph nodes

Correct answer: 4. Left pretracheal lymph nodes

Explanation: Ans. is 'd' i.e., Left pretracheal lymph nodes Bilateral hilar lymphadenopathy with right paratracheal nodal enlargement is classic for sarcoidosis and is referred to as the 1-2-3 sign or Garland triad. Garland's triad (also known as the 1-2-3 sign or Pawnbrokers sign) of Sarcoidosis Right paratracheal nodes Right hilar nodes Left hilar nodes